A female presented with swelling over angle of mouth. Investigation shows pleomorphic adenoma of the superficial lobe.Treatment of choice is:
1. Superficial parotidectomy
2. Radical parotidectomy
3. Enucleation
4. Radiotherapy

Correct answer: 1. Superficial parotidectomy

Explanation: Pleomorphic adenomas, or benign mixed tumors, are the most common neoplasms of the salivary glands. They represent approximately 60-70% of all parotid tumors and 90% of submandibular benign tumors. The mixture of epithelial, myoepithelial, and stromal elements is represented by the name, benign mixed tumor. Any of these individual components may predominate in the histology, but all three must be present to confirm the diagnosis. Both immunohistochemical stains specific for myoepithelial cells and epithelial cells can help to distinguish pleomorphic adenoma. Complete surgical excision of the tumor with uninvolved margins is the recommended treatment. For example, a superficial parotidectomy with clear margins is the treatment of a pleomorphic adenoma located in the superficial lobe of the parotid gland. Ref: Butt F.Y. (2012). Chapter 18. Benign Diseases of the Salivary Glands. In A.K. Lalwani (Ed), CURRENT Diagnosis & Treatment in Otolaryngology--Head & Neck Surgery, 3e.